The headquarters of WHO is located in:
1. New York
2. Geneva
3. Rome
4. Ottawa

Correct answer: 2. Geneva

Explanation: Headquarters of WHO is located in Geneva. Ref: Park 21st edition page: 853.